Foetal breathing movements is seen earliest at :
1. 8 weeks
2. 11 weeks
3. 16 weeks
4. 24 weeks

Correct answer: 2. 11 weeks

Explanation: 11 weeks